All are true regarding cryptococcal infection, except
1. Occurs in immunodeficient states
2. Capsular antigen in CSF is a rapid method of detection
3. Anticapsular antibody is protective
4. Urease positive

Correct answer: 3. Anticapsular antibody is protective

Explanation: The disease is more common in an immunocompromised host. 4 serological types of cryptococcal capsular polysaccharide A, B, C and D have been identified. Demonstration of capsular antigen by precipitation can sometimes be valuable for diagnosis of cryptococcal meningitis when the CSF is negative by smear and culture. As the disease is more common in immunocompromised patients, antibodies are not protective. Ref: Textbook of Microbiology, Ananthanarayan and Paniker; 9th edition